In which of the following pelvic examination is contraindicated
1. Placenta previa
2. Contracted pelvis
3. H mole
4. Ectopic pregnancy

Correct answer: 1. Placenta previa

Explanation: Vaginal examination is not done as it provoke further separation of placenta with torrential hemorrhage which may be fatal It can be done only prior to termination of pregnancy in the operation theater under anesthesia keeping everything ready for cesarean section. Ref: Dutta Obs 9e pg 231.